All of the following conditions have Autosomal Dominant Inheritance, EXCEPT:
1. Fabry disease
2. Marfan's syndrome
3. Osteogenesis Imperfecta
4. Ehlers Danlos Syndrome

Correct answer: 1. Fabry disease

Explanation: Among all the disorders given in the question stem, Fabry disease is a X-linked linked disorder of lipid metabolism causing in glycolipid - galactosylglucosyl ceramide accumulation in the walls of blood vessels and many tissues in the body while all others have autosomal dominant pattern of inheritance. Ref: Robbins Basic Pathology - 7th Edition, Page 215; Harrison's Principles of Internal Medicine 15th Edition, Page 391; 14th Edition, Page 380; Nelson's Textbook of Pediatrics 17th Edition, Page 2207.